AFP is increased in maternal serum in all except
1. Open neural tube defects
2. Meningomyelocole
3. Spinabifida
4. Trisomy

Correct answer: 4. Trisomy

Explanation: Trisomy